HDN is seen due to deficiency of vitamin
1. A
2. C
3. K
4. E

Correct answer: 3. K

Explanation: Vit k is necessary for coagulation. Factors dependent on Vit k are synthesised on the liver as inactive zymogen. They undergo gamma carboxylation, which requires Vit k as a cofactor. Clinical Manifestations of Deficiency i. Hemorrhagic disease of the newborn is attributed to vitamin K deficiency. The newborns, especially premature infants have relative vitamin K deficiency. This is due to lack of hepatic stores, limited oral intake (breast milk has very low levels, 15 mg/litre) and absence of intestinal bacterial flora. ii. It is often advised that pre-term infants be given prophylactic doses of vitamin K (1 mg Menadione iii. In children and adults, Vitamin K deficiency may be manifested as bruising tendency, ecchymotic patches, mucous membrane haemorrhage, post-traumatic bleeding Ref: DM Vasudevan - Textbook of Biochemistry, 8th edition, page no: 462